For Dextroelevation of eye, muscles acting are ?
1. Right lateral rectus and left medial rectus
2. Right superior rectus and left inferior oblique
3. Right inferior rectus and left superior oblique
4. Bilateral superior recti and inferior obliques

Correct answer: 2. Right superior rectus and left inferior oblique

Explanation: Ans. is 'b' i.e., Right superior rectus and left inferior oblique